The drug of choice in patient with Parkinson-White syndrome with fibrillation is -
1. Digitalis
2. Procainamide
3. Verapamil
4. Adenosine

Correct answer: 2. Procainamide

Explanation: Ans. is 'b' i.e., Procainamide In WPW syndromea) If there is life threatening rapid ventricular response DC cardioversion.b) In non-life threatening situations Lidocaine or procainamide are DOC, ibutilide is an alternative.o Radiofrequency catheter ablation of bypass tracts is the treatment of choice for permanant cure of WPW syndrome.